Fungal spores may be produced:
1. Singly
2. In chains
3. In sporangium
4. All of the above

Correct answer: 4. All of the above

Explanation: Ans. is 'd' i.e., All of the above(Ref: Jawetz, 23rd/e, p. 626)* Fungal spores have different morphology. They may be unicellular, multicellular or in chains.* Sporangium contains asexual spores of phycomycetes, called sporangiospores.